An elderly woman was admitted with a fracture of the neck of right femur which failed to unite. On examination an avascular necrosis of the head of femur was noted. The condition would have resulted most probably from the damage to
1. Superior gluteal artery
2. Inferior gluteal artery
3. Acetabular branch of obturator
4. Retinacular branches of circumflex femoral arteries

Correct answer: 4. Retinacular branches of circumflex femoral arteries

Explanation: The major blood supply of femoral head is by lateral(superior) retinacular branch of medial circumflex artery. REF : MAHESWARI 9TH ED